Mechanism of action of Triazoles:-
1. Inhibits ergosterol biosynthesis
2. Inhibits tubulin
3. Inhibits glucan synthesis
4. Inhibits cell wall synthesis

Correct answer: 1. Inhibits ergosterol biosynthesis

Explanation: The azoles act by inhibiting fungal cytochrome P450 enzyme 'lanosterol 14-demethylase' and thus impair ergosterol synthesis. These are presently the most extensively used antifungal drugs. Mechanism of action of other antifungal drugs: Polyene (Amphotericin B/Nystatin): Binds to ergosterol and creates pores. 5 Flucytosine : DNA polymerase inhibitor. Allylamine (Terbinafine, Butenafine, Naftifine): Inhibit enzyme squalene epoxidase. Griseofulvin : Act mitotic spindle Echinocandin (Caspofungin): Inhibit Beta 1-3